All of the following are features of Achondroplasia except:
1. Bullet shaped vertebra
2. Trident hand/starfish hand
3. Wimberger ring sign
4. Champagne glass pelvis

Correct answer: 3. Wimberger ring sign

Explanation: Wimberger ring sign- seen in Scurvy Achondroplasia: Normal intelligence Trident hand or starfish hand Bullet nose vertebra Champagne glass pelvis Limb dwarfism